Mesangial deposits of monoclonal Kappa/ Lambda light chains is indicative of-
1. Mesangioproliferative glomerulonephritis
2. Focal and segmental glomerulosclerosis
3. Kimmelstiel - wilson disease
4. Amyloidosis

Correct answer: 4. Amyloidosis